The main function of chaperones is to help in which of the following?
1. Protein synthesis
2. Protein degradation
3. Protein folding
4. Protein denaturation

Correct answer: 3. Protein folding

Explanation: Chaperones help to produce the correct spatial arrangement. Chaperones attach to nascent polypeptide chains and prevent wrong foldings, so that folding is allowed only in correct direction. Ref: Textbook of Biochemistry By DM Vasudevan, 5th Edition, Page 434.